In Patey's mastectomy all the following are removed except
1. Pectoralis major
2. Skin of the breast
3. Pectoralis minor
4. Ductular system of the breast

Correct answer: 1. Pectoralis major

Explanation: Ans. (a) Pectoralis major(Ref. Bailey and Love 26th edition Page 813)Structures removed in Patey's mastectomy:* Breast, nipple, areola including the skin overlying the tumor* Level 1,2,3 Lymphnodes* Fascia over Pectoralis major* Pectoralis minor muscle